Estimation of the following hormones is useful while investigating a case of gynaecomastia except
1. Testosterone
2. Prolactin
3. Estradiol
4. Lutenizing hormone

Correct answer: 2. Prolactin